Neonatal hypothermia can be prevented by all of the following EXCEPT?
1. Warm chain
2. Cold chain
3. Kangaroo Mother care
4. Radiant warmer

Correct answer: 2. Cold chain

Explanation: Neonatal hypothermia induces peripheral vasoconstriction leading to increased metabolism- Hypoxia Hypoglycemia Metabolic acidosis. Components of the warm chain 1. Thermal care in delivery room 2. Warm resuscitation 3. Immediate drying 4. Skin-to-skin contact 5. Breast feeding 6. Bathing postponing 7. Clothing and bedding 8. Rooming in 9. Warm transportation 10. Training and awareness rising